Which of the following is not associated with food poisoning?
1. Onset with vomiting
2. Tenesmus
3. Leukocytosis
4. High skin subrface temperature

Correct answer: 3. Leukocytosis

Explanation: In case of food poisoning blood investigation should be normal. Leucocytosis is seen in cholera, a differential diagnosis of food poisoning. Reference:Park's textbook of preventive and social medicine,K.Park,23rd edition,page no:240.